Increased permeability in acute inflammation is due to?
1. Histamine
2. IL-2
3. TGF-(3
4. FGF

Correct answer: 1. Histamine

Explanation: Ans. is 'a' i.e., Histamine Formation of endothelial gaps in venules, i.e. immediate transient response is the most common mechanism causing increased vascular permeability in acute inflammation. Mediators involved in this mechanism are :- Immediate (more important) : Histamine, bradykinin, leukotrienes, neuropeptide substance P. Somewhat delayed: IL-1, TNF, IFN-y